Which of the following is not true about Ca hard palate?
1. Painful
2. Maxillectomy may be needed
3. Lymphatic spread can occur
4. May be squamous or adenocarcinoma

Correct answer: 1. Painful

Explanation: In Ca Hard Palate the lesion is painless and usually presents as an irregularity on the hard palate. Half of all hard palate cancers are squamous cell carcinomas (SCCs). Palatal hypesthesia indicates trigeminal nerve involvement in the sphenopalatine foramen or pterygopalatine fossa extension. Lymph node involvement is of special concern in SCC and high-grade mucoepidermoid cancer. It is rare in other salivary gland carcinomas.